All of the following statements stand true for Telengiectasis of colon except -
1. May be seen in person less than 40 years of age
2. May be seen in person more than 60 years of age
3. Common site is caecum
4. 50% involve rectum

Correct answer: 4. 50% involve rectum